Structure which lies outside the femoral sheath
1. Femoral artery
2. Femoral nerve
3. Femoral vein
4. Genitofemoral nerve

Correct answer: 2. Femoral nerve

Explanation: Femoral nerve Femoral sheath Femoral sheath is a funnel shaped fascial prolongation around proximal part of femoral vessels, situated in the femoral triangle, below the inguinal ligament. It is 3-4 cm long. It is formed by fascia iliaca. Femoral sheath is divided into 3 separate fascial compaements by septa :? i) Lateral compartment :- It contains femoral artery and femoral branch of genitofemoral nerve. ii) Intermediate compartment :- Femoral vein. iii) Medial compartment (femoral canal) :- It is conical in shape, wider above adn narrow below. The wider upper opening is known as femoral ring, which is potentially a weak point in lower abdomen and is the site for femoral hernia. Femoral ring is bounded : Anteriorly by inguinal ligament, medially by lacunar ligament, posteriorly by pectineus with its covering fascia, and laterally by septum separating it from femoral vein. Femoral canal contains lymph node of cloquet or Rosenmuller and lymphatics.